Which of the following cell types are specific to a latent genital infection with HSV-2 ?
1. Trigeminal ganglia
2. Sacral ganglia
3. Vagal nerve ganglia
4. Neural sensory ganglia

Correct answer: 2. Sacral ganglia

Explanation: Latent infection by HSV-2 has been shown to occur primarily in the sacral ganglia, whereas HSV-1 latency has been demonstrated in trigeminal, superior cervical, and vagal nerve ganglia. Varicella-zoster virus remains latent in neural sensory ganglia.